Benefits of LNG lUCD are
1. Management of menorrhagia
2. Contraceptive effect
3. Hormone replacement therapy after menopause
4. All the above

Correct answer: 4. All the above

Explanation: Mirena now used as first line of treatment of menorrhagia, in addition to the contraceptive effect. Another use is in providing progestogens component of hormone replacement therapy after menopause.